On 3 phase 99mTc-MDP bone scan, which of the following bone lesions will show least osteoblastic activity.
1. Paget's disease
2. Osteoid Osteoma
3. Fibrous Dysplasia
4. Fibrous cortical defect

Correct answer: 4. Fibrous cortical defect

Explanation: D i.e. Fibrous cortical defect